Peroxidase enzyme is used in estimating:
1. Hemoglobin
2. Ammonia
3. Creatinine
4. Glucose

Correct answer: 4. Glucose

Explanation: Ans. D. GlucoseEnzymes as diagnostic reagentsEnzymeDiagnostic test doneUreaseUrea estimationUricaseUric acid estimationGlucose oxidaseGlucoseHexokinaseGlucosePeroxidaseGlucose, cholesterolCholesterol oxidaseCholesterolCreatininaseCreatinineLipaseTriglycerides